All of the following may be seen in patients of cardiac tamponade except:
1. Kussmaul's sign
2. Pulsus paradoxus
3. Electrical alternans
4. Right ventricular diastolic collapse on echocardiogram

Correct answer: 1. Kussmaul's sign

Explanation: Answer is A (Kussmaul's sign) Pulsus paradoxus clinically, electrical alternans on ECG and RVDC on Echocardiography are chracteristic features of Cardiac tamponade.